The most serious complication of a pelvic fracture is:
1. Rupture urinary bladder
2. Neurogenic shock
3. Hypovolemic shock
4. Malunion

Correct answer: 3. Hypovolemic shock